A 20 year old female is diagnosed to have molar pregnancy. All of the following are features of partial mole, EXCEPT:
1. Fetus is present
2. Amnion is present
3. Karyotype is usually 69 XXY
4. Greater risk of persistent trophoblastic disease

Correct answer: 4. Greater risk of persistent trophoblastic disease

Explanation: In a case of partial mole there is only 1-5% risk of development of persistent trophoblastic disease. There is a 15-20% risk for developing this in cases of complete mole. Features of partial mole are: Karyotype is usually 69,XXX or 69,XXY Fetus, amnion and fetal red blood cells are often present Villous edema could be focal or diffuse Trophoblastic proliferation could be variable 1-5% risk of developing persistent trophoblastic disease Ref: Cunningham F.G., Leveno K.J., Bloom S.L., Hauth J.C., Rouse D.J., Spong C.Y. (2010). Chapter 11. Gestational Trophoblastic Disease.